The incidence of retained intraocular foreign bodies is maximum with injuries due to:
1. Bow and arrow
2. Chisel and hammer
3. Air-gun pellet
4. Glass

Correct answer: 2. Chisel and hammer

Explanation: Ans. Chisel and hammer